Watson Jones operation is done for which condition ?
1. Polio
2. Muscle paralysis
3. Neglected clubfoot
4. Chronic ankle instability

Correct answer: 4. Chronic ankle instability

Explanation: ref : maheswari 9th ed